All the definitive signs of pregnancy except :
1. Amenorrhoea
2. Fetal movements
3. Fetal heart sounds
4. Fetal skeleton seen an X-ray

Correct answer: 1. Amenorrhoea

Explanation: Amenorrhoea